Ostearthritis commonly involves -a) Proximal IP jointb) Distal IP jointc) Ist carpometacarpal jointd) Wrist jointe) Distal radio - ulnar joint
1. abc
2. bc
3. acd
4. bcd

Correct answer: 1. abc

Explanation: Joint involvement in OA

Common joints : Knee, Hip, Spine (cervical, lumbosacral), Hand (PIP, DIP, first carpometacarpal), first tarso-metatarsal.
Uncommon joint : Shoulder
Spared : Wrist, elbow, ankle, metacarpophalangeal.